Cause of Coxa vera -
1. Congenital
2. Perthe's disease
3. SCFE
4. All of the above

Correct answer: 4. All of the above

Explanation: Ans. is 4d' i.e., All of the aboveCoxa verao Coxa vera refers to reduced angle between the neck and shaft of the femur,o Coxa vera may be congenital or acquired.Congenital (developmental / Infantile) coxa veraThis is coxa vara resulting from some unknown growth anomaly at the upper femoral epiphysis.It is noticed as a painless limp in a child who has just started walking.In severe cases, shortening of the leg may be obvious.On examination, abduction and internal rotation of the hip are limited and the leg is short.X - rays will show a reduction in neck - shaft angle.The epiphyseal plate may be too vertical.There may be a separate triangle of bone in the inferior portion of the metaphysis, called Fairbanks triangle.Treatment is by a subtrochanteric corrective osteotomy.Aquired coxa-verao Aquired coxa-vera is seen ini) SCFE (slipped capital femoral epiphysis)ii) Sequelae of avascular necrosis of femoral epiphysisLegg-Calve Perthe's diseaseFemoral neck fractureTraumatic hip dislocationPost reduction of CDHSeptic necrosisiii) Associated with pathological bone disordersOsteogenesis imperfectaFibrous dysplasiaOsteopetrosis